Rivastigmine is used in -
1. Dementia
2. Dissociation
3. Depression
4. Delusions

Correct answer: 1. Dementia

Explanation: Ans. is 'a' i.e., Dementia Cognition Enhancers iCerebroactive drugs)o These are a heterogenous group of drugs developed for use in dementia and other cerebral disorders,o Drugs are1 .Cholinergic activaters - Tacrine, Rivastigmine, Donepezil, Galantamine.2. Glutamate (NMDA) antagonist - Memanite3. Miscellaneous - Piracetam, Pyritinal (pyrithioxine), Piribedil, Dihydroergotoxine (Codergocrine).Important points about some important drugs.Tacrineo It was the first centrally active anticholinesterase to be used in AD.o Hepatotoxicity has restricted its use.Rivastigmineo It is carbamate derivative of physostigmine.o It inhibits both acetylcholinesterase and butylcholinesterase.o It is selective for G1 isoform of AchE which predominates in brain,o It is used in AD.Donezepilo It is reversible inhibitors of cerebral AchE.o It has long t 1/2 (70 hours) - Single daily dose can be given.o It is used in AD.Galantamineo It inhibits cerebral AchE.o It has some direct action on nicotinic receptors as well.Acetyl -1 - carnitineo It has antioxidant property,o It also increases cholinergic transmission.o It decreases symptoms of AD as well as it decreases disease progression.Memantineo A NMDA receptor antagonist, used in AD.